Flask shaped ulcers in colon is caused by:-
1. Giardia lamblia
2. Entamoeba histolytica
3. H. Pylori
4. Enterobius vermicularis

Correct answer: 2. Entamoeba histolytica

Explanation: Amoebiasis: M/C pathogenic amoeba in humans - E. histolytica Trophozoites of E. histolytica attaches to submucosa of cecum & ascending Colon to produce "FLASK SHAPED ULCERS" and causes abscess.